During treatment for Wilson disease with trientine and penicillamine, free serum copper should be kept below which level?
1. 25 mcg/dl
2. 50 mcg/dl
3. 75 mcg/dl
4. 100 mcg/dl

Correct answer: 1. 25 mcg/dl

Explanation: The normal free copper value is 10-15 mcg/dL and it is often as high as 50 mcg/dL in untreated Wilson's disease. With treatment, free copper should be <25 mcg/dL. Reference: Harrisons Principles of Internal Medicine, 18th Edition, Page 3190